What is epoophoron :
1. Vestigeal structure of urogenital sinus
2. Remnants of Wolfian duct
3. Unfused portion of Mullerian duct
4. Urogenital sinus

Correct answer: 2. Remnants of Wolfian duct

Explanation: Remnants of Wolfian duct Friends we always get confused about the vestigial remnants present in the human body. Here I am listing a few important ones. Foetal Structure Vestigal remnant in adult Cranial end of Wolffian Body (mesonephros)deg Caudal end of Wolffian body (Mesonephros)deg Wolffian ductdeg Pronephrosdeg Umblical aeriesdeg Left umblical veindeg Ductus venosusdeg Ductus aeriosusdeg Epoophorono (Also called as organ of Rossen mullar) situatedabove ovaryoParoophorono (Situated between uterus & ovary) mayform Paraovarian cystoGaners Duct (ln Broad ligament)oKobelts TubulesoMedial umblical ligamentoLigamentum teres of LiveroLigamentum venosumoLigamentum aeriosumo